A 30 years woman presents with progressive conductive deafness bilaterally. The most common cause is -
1. Tympanosclerosis
2. Otospongiosis
3. Meniere's disease
4. Bilateral wax in external ears

Correct answer: 2. Otospongiosis